Which of the following is false ?
1. Cowden  syndrome is due to PTEN mutation
2. Gardner syndrome is due to APC mutation
3. Turcot syndrome is due to APC mutation
4. Cronkhite - Canada syndrome is due to SMAD-4 mutation

Correct answer: 4. Cronkhite - Canada syndrome is due to SMAD-4 mutation

Explanation: Option D is a non hereditary condition.